For which malignancy, intensity Modulated Radiotherapy (IMRT) is the most suitable -
1. Lung
2. Prostate
3. Leukemias
4. Stomach

Correct answer: 2. Prostate

Explanation: Ans. is 'b' i.e., Prostate Currently Intensity modulated radiotherapy is being used to treat cancers of:ProstateHead & NeckBreastThyroidLungGynecologic cancersLiverBrainLymphomasSarcomasIntensity modulated radiation therapy (IMRT) is an advanced mode of high precision radiotherapy that utilizes computer controlled X-ray accelerators to deliver precise radiation doses to a malignant tumour or specific areas within the tumour:The radiation dose is designed to conform to the three dimensional (3-D) shape of the tumour by modulating or controlling the intensity of the radiation beam to focus a higher radiation dose to the tumour while minimizing exposure to surrounding tissues.Note: IMRT can be used to treat lung cancers, but there are several technical reasons to delay the widespread use of IMRT for lung Ca at this time.